Advantages of amoxicillin over ampicillin are all except?
1. Better bioavailability & faster action
2. Spectrum includes H. influenzae & Shigella
3. Incidence of diarrhea is lower
4. Food does not interfere with its absorption

Correct answer: 2. Spectrum includes H. influenzae & Shigella

Explanation: Ans. is 'b' i.e., Spectrum includes H. influenzae & Shigella